Abrasion collar is seen in:
1. Gunshot injury
2. Stab wound
3. Drowning
4. Railway track accident

Correct answer: 1. Gunshot injury

Explanation: Abrasion collar/ring: Proof of bullet entry wound. Due to spinning motion of bullet. Importance: Round Abrasion collar - if the bullet hits at right angle to the skin surface. Oval abrasion collar - if the bullet hits at oblique angle to the skin surface Diameter of the entry wound + abrasion collar gives the approximate diameter of the bullet. Grease collar (bullet wipe): A black/gray colored ring is seen lining the entrance wound. Due to the deposition of lubricants, gun oil or lead from the bullet.